Elderly persons taking antipsychotics are especially susceptible to all of the following side effects except?
1. Tardive dyskinesia
2. Paresthesias
3. Dry mouth
4. Akathisia

Correct answer: 2. Paresthesias

Explanation: Ans. B. ParesthesiasParesthesias, which are spontaneous tingling sensations, are not typically a side effect of antipsychotics. Elderly persons, particularly if they have organic brain disease, are especially susceptible to the side effects of antipsychotics, which include dry mouth, tardive dyskinesia, akathisia, and a toxic confusional state. Tardive dyskinesia is characterized by disfiguring and involuntary buccal and lingual masticatory movements; akathisia is a restlessness marked by a compelling need for constant motion. Choreiform body movements, which are spasmodic and involuntary movements of the limbs and the face, and rhythmic extension and flexion movements of the fingers may also be noticeable. Examination of the patient's protruded tongue for fine tremors and vermicular (worm-like) movements is a useful diagnostic procedure. A toxic confusional state, also called a central anticholinergic syndrome, is characterized by a marked disturbance in short-term memory, impaired attention, disorientation, anxiety, visual and auditory hallucinations, increased psychotic thinking, and peripheral anticholinergic side effects.